What is the mechanism of action of levetiracetam?
1. Antagonist of GABAA receptor
2. Bind to synaptic vesicular protein SV2A
3. Inhibit voltage gated Ca+ channel
4. Inhibit Na+ channel

Correct answer: 2. Bind to synaptic vesicular protein SV2A

Explanation: Levetiracetam is an anti-epileptic drug that works by binding to SV2A, a ubiquitous synaptic vesicle integral membrane protein, which functions as a positive effector of synaptic vesicle exocytosis. Binding to SV2A in the vesicle reduces the release of the excitatory neurotransmitter glutamate. It is used for treatment of focal seizures GTCS, JME